All are feature of 3rd nerve palsy except -
1. Ptosis
2. Loss of light reflex
3. Adducted eye
4. Mydriasis

Correct answer: 3. Adducted eye

Explanation: Clinical features of third nerve palsy include: Ptosis Deviation Ocular movements are restricted in all directions except outward Pupil is fixed and dilated Accomodation is completely lost Crossed diplopia Head posture may be changed if pupillary area remains uncovered. Ref;A.K.Khurana; 6th edition; Page no: 355